Glaucoma is characterised by apoptosis of
1. Bipolar cells
2. Ganglion cells
3. Retinal pigment epithelium
4. Rods and Cones

Correct answer: 2. Ganglion cells

Explanation: Multifactorial optic neuropathy characterised by Retinal Ganglionic cell death by the apoptosis.